Drugs used in migraine prophylaxis are all except:
1. Flunarizine
2. Propanolol
3. Cyproheptadine
4. Sumatriptan

Correct answer: 4. Sumatriptan

Explanation: Drugs used for migraine prophylaxis: - A : Antiepileptic drug- B : Beta blocker : Propranolol, botulinum toxin- C : CCB: flunarizine, cyproheptadine, clonidine For acute migraine attack : We give sumatriptan and ergotamine.Triptans are contraindicated in patient with coronary artery disease due to it's vasospasm effect.